Ether was first used as an anaesthetic by?
1. Priesly
2. Morton
3. Wells
4. Simpson

Correct answer: 2. Morton

Explanation: ANSWER: (B) MortonREF: http://en.wikipedia.org/wiki/William_T_G_MortonWilliam Thomas Green Morton (August 9, 1819 - July 15, 1868) was an American dentist who first publicly demonstrated the use of inhaled ether as a surgical anaesthetic in 1846